Vision not impaired in:
1. Berlin's edema
2. Optic neuritis
3. Papilledema
4. Uveitis

Correct answer: 3. Papilledema

Explanation: Ref: Basok's Essentials of Ophthalmology, 5th editionExplanation:SYMPTOMS OF UVEITISPain: Acute severe with radiation along 5th crania] nerve - worse at night.Redness.Photophobia.Lacrimation.Dimness of vision due to:o Plasmid aqueous.o Vitreous exudateso Exudates in pupillary areao Cystoid macular edemao Complicated cataract.SYMPTOMS OF OPTIC NEURITISMonocular sudden dimness of vision of varying degree (Small scotoma to complete blindness).Impairment of colour vision and contrast sensitivity.Depth perception for moving objects impaired (Pulfrich's phenomenon).Pain behind the eyeball, especially with superior movement.SYMPTOMS OF PAPILLEDEMAVisual acuity and pupillary reactions are normal till late stages of the disease.Amaurosis fugax-Transient blackout of vision for few seconds - in few patients.Visual field is usually normal.Enlargement of Blind spot.SYMPTOMS OF BERLIN'S EDEMA (COMMOTIO RETINAE)Caused by blunt injury to the eye.Milky white cloudiness at the macular area due to edema.Decreased vision in injured eye within few; hours.Visual acuity ranges from 20/20 to 20/400.Central vision may he permanently affected due to pigment deposition in macula.